Hill Sachs lesion is seen in -
1. Humeral head
2. Femoral head
3. Tibial shaft
4. Skull base

Correct answer: 1. Humeral head

Explanation: Ans. is 'a' i.e., Humeral head * Hill-sach lesion is a compression fracture of the posterolateral articular surface of humeral head. With the trauma of repeated dislocation, the humeral head is forced upon glenoid rim and the relatively soft bone of humoral head is crushed. The end result is an impression of the glenoid rim that is made on the humeral head.